Which of the following is not an injectable molded ceramic:
1. IPS Empress.
2. IPS Empress 2.
3. Dicor.
4. None.

Correct answer: 3. Dicor.

Explanation: Dicor is castable ceramic.